Uvula vesicae seen in bladder is formed from the following structure ?
1. Lateral lobe of prostate
2. Median lobe of prostate
3. Anterior lobe of prostate
4. Posterior lobe of prostate

Correct answer: 2. Median lobe of prostate

Explanation: Uvula vesicae is a small elevation situated immediately behind the urethral orifice, which is produced by the underlying median lobe of the prostate. It enlarges with age due to enlargement of the underlying median lobe of the prostate and may inhibit complete bladder emptying. Ref: Gray's anatomy text book of anatomy BD chaurasia 21st Ed.